Kangaroo mother care - Which of the following is true-
1. Can be done by father also
2. Indicated for LBW babies
3. Effective thermal control
4. All of the above

Correct answer: 4. All of the above

Explanation: Ans. is 'd' i.e., All of the above Kangaroo mother care (KMC)o Special way for LB W body.Benefit1) Effective Temperature control2) Breast feeding3) Infection control4) Parental bonding5) Weight gain6) Apnea decreases7) Mother satisfactionComponent1) Skin to skin contact2) Exclusive breast feedingThe KMC procedureo The baby should be placed between the mother's breasts in an upright position.o The head should be turned to one side and in a slightly upturned position. This position helps in breathing of andallows eye-to-eye contact between the mother and her babyo The legs and arms should be folded.o Baby's abdomen should be at the level of the mother's upper abdomeno Support the baby bottom with a sling / binder."Father can provide kangaroo care for their babies too."